Both the liver and muscle contain glycogen, yet, unlike liver, muscle is not capable of contributing glucose to the circulation because muscle
1. Does not have the enzyme glucose-6-phosphatase
2. Glycolytic activity consumes all of the glucose it generates
3. Does not have the enzyme glucose-1-phosphatase
4. Does not have the enzyme glycogen phosphorylase

Correct answer: 1. Does not have the enzyme glucose-6-phosphatase